True about erythema multiforme is
1. Target lesions are characteristic
2. Haemorrhagic crusts may form on lips
3. Lesions resolve over 3 to 6 weeks
4. All of the above

Correct answer: 4. All of the above

Explanation: All of the above * Erythema multiforme. a. Target lesions are characteristic b. Haemorrhagic crusts may form on lips c. Lesions resolve over 3 to 6 weeks d. Severe erythema multiform with extensive bullous eruption of skin and mucous membranes is called Stevens-Johnson syndrome e. Lesions are distributed symmetrically on the dorsum of hands, feet, forearms, face and neck.